Which of the following has antioxidant properiy-
1. Selenium
2. Copper
3. Zinc
4. All

Correct answer: 4. All

Explanation: Ans. is 'd' i.e., All o The activity of the antioxidant enzymes depends on supply of mineralsManganeseCopperZincSeleniumo Manganese, copper and zinc are required for the activity of superoxide dismutase.o Selenium is required for the activity of glutathione peroxidase.